Radical mastoidectomy is done for -
1. ASOM
2. CSOM
3. Atticoantral cholesteatoma
4. Acute mastoiditis

Correct answer: 3. Atticoantral cholesteatoma

Explanation: Modified radical mastoidectomy is the surgery of choice for atticoantral cholesteatoma. However, in some situations it is not possible to remove it safely, radical mastoidectomy is indicated.

Indications of radical mastoidectomy

When all cholesteatoma cannot be safely removed, e.g. that invading eustachian tube, round window niche, perilabyrinthine or hypotympanic cells.
If previous attempts to eradicate chronic inflammatory disease or cholesteatoma have failed.
As an approach to petrous apex.
Removal of glomus tumor.
Carcinoma middle ear. Radical mastoidectomy followed by radiotherapy is an alternative to en bloc removal of temporal bone in carcinoma middle ear.